Vertical transmission is by -
1. Mosquitoes
2. Direct contact
3. Droplet
4. Placenta

Correct answer: 4. Placenta

Explanation: Ans. is 'd' i.e., Placenta Modes of transmission o Communicable disease may be transmitted from the reservoir or source of infection to a susceptible host in many different ways. Modes of transmisstion Direct transmission Indirect transmission Direct contact o Vehicle - borne Droplet infection o Vector - borne Contact with soil o Air - borne Inoculation into skin or mucosa o Fomite - borne Transplacental (vertical) o Uncleaned hands & fingers